A 12-year-old child presents with fever and cervical lymphadenopathy. Oral examination shows a grey membrane on the right tonsil extending to the anterior pillar. Which of the following medium will be ideal for the culture of the throat swab for a rapid identification of the pathogen -
1. Nutrient agar
2. Bloodagar
3. Loffler's serum slope
4. Lowenstein Jensen medium

Correct answer: 3. Loffler's serum slope

Explanation: Rapid identification of C. diphtheria: Loffler’s serum slope (6–8 hour)
Best media for isolation in carriers/contacts/convalescent: PTA (48 hour)
Metachromatic granules best develops on: Loffler’s serum slope

Ref: Apurba Sastry’s Essentials of Medical Microbiology 1/e p246, Ananthanarayan 9/e p237